The number of live birth per 1000 women in the Reproductive age group in a year refers to:-
1. Total fertility rate
2. Gross Reproduction Rate
3. Net Reproduction Rate
4. General Fertility Rate

Correct answer: 4. General Fertility Rate

Explanation: General Fertility Rate : Number of live birth per 1000 women in the Reproductive age group in a year. Term Definition Net reproduction rate Total No. of girl children born to a female, taking into account their mortality. Gross reproduction rate Total no. of girl children born to a woman if she experiences the current fertility pattern throughout her reproductive span (15-44 or 49 years), assuming no mortality Total marital fertility rate Total no. of children that would be born to a married woman if she experiences the current fertility pattern throughout her reproductive span Total fertility rate Total no.of children born to each woman if she were to live to the end of her child-bearing years and give birth to children in alignment with the prevailing age-specific fertility rates